-10.5kacl of energy is released by
1. ATP
2. GTP
3. UTP
4. Creatinine phosphate

Correct answer: 4. Creatinine phosphate

Explanation: Energy released by creatinine phosphate is -10.5kcalRef: DM Vasudevan Textbook of Medical Biochemistry, 6th edition, page no: 226